Which of the following diagnostic techniques is most specific for pulmonary embolism
1. Pulmonary angiography
2. Ventilation lung scanning
3. Perfusion lung scanning
4. Arterial blood gas analysis

Correct answer: 1. Pulmonary angiography

Explanation: CT pulmonary angiography is the first-line diagnostic test for pulmonary thromboembolism.It has the advantages of visualising the distribution and extent of the emboli,or highlighting an alternative diagnosis,such as consolidation,pneumothorax or aortic dissection.A definitive diagnosis of Pulmonary embolism depends on visualisation of an intraluminal filling defect in more than one projection.Secondary signs of PE include abrupt occlusion("cut off")of vessels,segmental oligemia or avascularity, a prolonged arterial phase with slow filling,and tortuous,tapering peripheral vessels. Reference:Harrison's Medicine-18th edition,page no:2174;Davidson's Medicine-22nd edition,page no:722.